True about Nephrotic syndrome in a child -
1. Minimal change disease is commonest cause
2. Proteinuria of 4 gm/m2 hr is characteristic
3. Cyclosporin & Azathioprine is mainstay of therapy
4. Pretreatment biopsy is done in all cases

Correct answer: 1. Minimal change disease is commonest cause

Explanation: Ans. is 'a' i.e., Minimal change is the commonest cause Nephrotic syndrome in children o Most children (90%) with nephrotic syndrome have a form of idiopathic nephrotic syndrome. o Causes of idiopathic nephrotic syndrome are - i) Minimal change disease (85%) ii) Mesangial proliferative GN iii) FSGS o Infections are a common complication of minimal change disease (Nephrotic syndrome) o Commonly seen infections are - Spontaneous bacterial peritonitis (most common), UTI, Sepsis, pneumonia and cellulitis. o There is increased susceptibility to infections in minimal change disease because of - o Urinary losses of immunoglobulins & properidin factor B Malnutrition Defective cell mediated immunity Edema/ascites Immunosuppressive therapy o The bacteria most commonly implicated in these cases are Sterptococcus pneumoniae (most common) and E. coli.